Weight of 9 students of a class is as follows- 72, 74, 76, 72, 76, 78, 80, 73 and 72. What is the mode:
1. 72
2. 74
3. 76
4. 78

Correct answer: 1. 72

Explanation: Ans. A: 72 Mode is the commonly occurring value in a distribution of data. It is the most frequent item or the most fashionable value in a series of observations. The mode or the most frequently occurring value is 72. The advantages of mode are that it is easy to understand, and is not affected by the extreme items. The disadvantages are that the exact location is often uncertain and is often not clearly defined. Therefore, mode is not often used in biological or medical statistics.